Which of the following is preferred treatment for urethral diverticulum
1. Diverticulum marsupialization
2. Partial diverticular sac ablation
3. Diverticulectomy
4. Transurethral electrosurgical fulguration.

Correct answer: 3. Diverticulectomy

Explanation: Diverticulectomy is the most frequently chosen to treat urethral diverticulum at any site along the urethra.